Increased glycolysis and decreased gluconeogenesis
1. Insulin
2. Glucagon
3. Epinephrine
4. Cortisol

Correct answer: 1. Insulin

Explanation: Insulin helps control blood glucose levels by signaling the liver and muscle and fat cells to take in glucose from the blood. Insulin therefore helps cells to take in glucose to be used for energy. If the body has sufficient energy, insulin signals the liver to take up glucose and store it as glycogen. Ref: guyton and hall textbook of medical physiology 12 edition page number:610,611,612